A breast-fed infant began to vomit frequently and lost weight. Several days later infant developed jaundice, hepatomegaly. bilateral cataract. What is possible cause for these symptoms?
1. Galactosemia
2. Juvenile Diabetes Mellitus
3. Hereditary Fructose Intolerance
4. Gaucher Disease

Correct answer: 1. Galactosemia

Explanation: The cataract shown is Oil Drop Cataract, which is characteristic of Galactosemia. These clinical manifestations of liver affected when milk is the diet, are typical of Classical Galactosemia. Bilateral cataract rules out the possibility of Von Gierke's disease and Hereditary Fructose Intolerance although other symptoms are there in both these diseases. In Juvenile Diabetes Mellitus, jaundice and hepatomegaly is observed but cataract is never there.